Commonest histological nding in benign hypertension is
1. Proliferating endarteritis
2. Necrotising arterioiitis
3. Hyaline arteriosclerosis
4. Cystic medial necrosis

Correct answer: 3. Hyaline arteriosclerosis

Explanation: Characteristic vascular pathology of benign hypertension is hyaline arteriosclerosis.
Vascular pathology in Hypertension Hypertension is associated with two forms of small blood vessels disease -
1. Hyaline arterioiosclerosis

There is homogenous, pink, hyaline thickening of arteriolar wall.
The lumen becomes narrow, o It is characterisc of benign hypertension,
It may also occur in diabetes and aging.

2. Hyperplastic arteriosclerosis

It is characteristic of malignant hypertension.
There is concentrenc, laminated thickening of arteriolar wall → onion skinning,
There is mucinous intimal thickening and fibrous intimal thickening.
There may be accompanied fibrinoid deposits with necrosis of the vessels w ral! → fibrinoid necrosis.